What is the critical temperature of N2O
1. 118 degrees
2. -88 degrees
3. 26 degrees
4. 36.5 degrees

Correct answer: 4. 36.5 degrees

Explanation: In thermodynamics, a critical point (or critical state) is the endpoint of a phase equilibrium curve. The most prominent example is the liquid-vapor critical point, the endpoint of the pressure-temperature curve that designates conditions under which a liquid and its vapor can coexist. At higher temperatures, the gas cannot be liquefied by pressure alone. At the critical point, defined by a critical temperature Tc and a critical pressure pc, phase boundaries vanish. critical temperature of N2O: 38.5degC